A 6 months old baby with H/0 bloody diarrhoea of 2 days duration with abdominal distension and on examination the baby screams, diagnosis is -
1. Intussuscetion
2. HUS
3. Appendicitis
4. A c . Enterocolitis

Correct answer: 1. Intussuscetion

Explanation: Ans. is 'a' i.e., Intussusception Clinical features of intussusception Sudden onset Severe paroxysmal colicky pain that recurs at frequent intervals. o Pain is accompanied by straining efforts with legs and knees flexed and loud cries (screaming). o Lethargy o Blood and mucus produce a current jelly stool. o Reflex vomiting is an early sign. o In later stages vomiting becomes bile stained. o Abdominal distension and tenderness develops as intestinal obstruction becomes more acute. Tender sausage - shaped palpable mass in the right upper abdomen with its long axis cephalocaudal. Occasionally intestine prolapses through rectum.